Which of the following is not a component of Reynolds' Pentad in toxic cholangitis ?
1. Right upper quadrant pain
2. Confusion
3. Septic shock
4. Markedly elevated transaminases

Correct answer: 4. Markedly elevated transaminases